Which of the following perinatal infections has the highest risk of fetal infection in the first trimester:
1. Hepatitis B virus
2. Syphilis
3. Toxoplasmosis
4. Rubella

Correct answer: 4. Rubella